Which of the following can lead to Megaloblastic anemia?
1. Dorzolamide
2. Chlorthiazide
3. Triamterene
4. Canrenone

Correct answer: 3. Triamterene

Explanation: Triamterene is a ENaC blocker and also a folate antagonist, hence can lead to megaloblastic anemia.